For biochemical analysis vitreous in sent in:
1. Hydrochloric acid
2. Phenol
3. Formalin
4. Fluoride

Correct answer: 4. Fluoride

Explanation: D i.e. Fluoride